Biconcave shape of RBC is useful in all aspects except:
1. Helps in passing through capillaries
2. Helps in cellular metabolism
3. Increased surface area diffusion of gases
4. Prevent osmotic lysis

Correct answer: 2. Helps in cellular metabolism

Explanation: Ref: Pal GK. Red Blood Cells. In: Textbook of Medical Physiology. Ahuja Publishing House. 2007: 8: 63.Explanation:Advantages of biconcavity of RBCsWithstand lysis when exposed to hypotonic environmentBetter exchange of gasEasy movement through capillariesMetabolism in RBCNo nuclei, mitochondria, ribosomesTCA cycle is absentGlucose oxidation - 90% - Embden - Mayerhoff pathway: 10% - HMP shunt